A 40-year-old woman presented with 8-month history of erythema and swelling of the periorbital region & papules & plaques an the dorsolateral aspect of forearms & knuckles with ragged cuticles. There was no muscle weakness. The most likely diagnosis is –
1. SLE
2. Dermatomyositis
3. Systemic sclerosis
4. Mixed connective tissue disorder

Correct answer: 2. Dermatomyositis

Explanation: This woman has:-


Erythema and swelling to periorbital region → Heliotrope erythema.
Papules and plaques on the dorsolateral aspect of knuckle & forearms → Gottron's papule.


Diagnosis is Dermatomyositis.